In which of the following type of breast carcinoma of the breast, is a biopsy of opposite breast?
1. Adenocarcinoma poorly differentiated
2. Medullary carcinoma
3. Lobular carcinoma
4. Comedo carcinoma

Correct answer: 3. Lobular carcinoma

Explanation: Ans. (c) Lobular carcinoma(Ref Sabiston 20th Edition Page 837)* Lobular carcinoma is bilateral hence biopsy taken from opposite breast also